Pregnant lady's hanging is postponed by high court , it comes under which CrPC?
1. 416
2. 417
3. 300
4. 312

Correct answer: 1. 416

Explanation: Ans. is 'a' i.e., 416 Section 416 CrPC : Postponement of capital sentence on pregnat woman or its commutation of imprisonment for life can be done by the high court.